Delirium is seen in which of the following poisonings-a) Daturab) Leadc) Nux vomicad) Opioide) Cannabis
1. abcd
2. abde
3. acde
4. ade

Correct answer: 2. abde

Explanation: Here the examiner asking about all the poisons which can cause delirium (but not only deliriant poisons).
Deliriant poisons → These poisons have delirium as there major symptom. These are datura, belladonna, hyoscyamus and cannabis indica.
Some other poisons can also produce delirium as one of their occasional symptom. Thus these are not classified as deliriant poisons, e.g. chronic lead poisoning and opium poisoning.